A curvature of gingiva towards the roots found in the middle of the interproximal area between molars is termed as
1. Col
2. Self cleansing area
3. Interproximal embrasure
4. Cervix

Correct answer: 1. Col